A 4-year-old boy is brought to the physician's office by his father for evaluation of small stature. A thyroid scan is ordered and shows no uptake in the neck. Which structure is embryologically related to the thyroid gland and should be carefully evaluated? SELECT ONE.
1. Foramen cecum
2. Foramen ovale
3. Foramen rotundum
4. Foramen spinosum

Correct answer: 1. Foramen cecum

Explanation: If the thyroid gland is absent from the neck, it may be in the lingual position at the foramen cecum. Excision of this lesion from the tongue will require thyroid hormone replacement.